Most malignant form of NHL is :
1. Diffuse large cell
2. Small cell lymphocytic lymphoma
3. Follicular cleavage
4. Large cell follicular

Correct answer: 1. Diffuse large cell

Explanation: Answer is A (Diffuse large cell) Diffuse large cell lymphoma is the most malignant, amongst the options provided. Although Follicular large cell and Diffuse varieties are both classified in the intermediate grade of the 'working formulation of NHL', in general, 'lymphomas with a follicular histological pattern are of a lower grade (longer survival times) than those with a diffuse pattern'